The tidal volume is
1. The amount of air that normally moves into (or out of) the lung with each respiration.
2. The amount of air that enters the lung but does not participate in gas exchange.
3. The largest amount of air expired after maximal expiratory effort.
4. The largest amount of gas that can be moved into and out of the lungs in 1 min.

Correct answer: 1. The amount of air that normally moves into (or out of) the lung with each respiration.

Explanation: The amount of air that moves into the lungs with each inspiration (or the amount that moves out with each expiration) is called the tidal volume.